When some pad or any piece of cloth is thrust into the mouth, asphyxia produces called
1. Gagging
2. Choking
3. Smothering
4. Traumatic asphyxia

Correct answer: 1. Gagging

Explanation: Gagging It is caused when some pad or a piece of cloth is thrust into the mouth. It is usually resoed to prevent the victim from shouting for help, and death is usually not intended. Ref: TEXTBOOK OF FORENSIC MEDICINE AND TOXICOLOGY KRISHNAN VIJ FIFTH EDITION PAGE 116